Earliest sign of OSMF:
1. Burning sensation
2. Blanching
3. Restricted mouth opening.
4. Circum oral bands.

Correct answer: 2. Blanching

Explanation: Earliest complaint : burning sensation
Earliest sign : blanching